Kiesselbach's area does not involve _____
1. Anterior ethmoidal artery
2. Posterior ethmoidal artery
3. Sphenopalatine artery
4. Greater palatine artery

Correct answer: 2. Posterior ethmoidal artery

Explanation: Kiesselbach's area, also Kiesselbach's plexus, Kiesselbach's triangle, and Little's area, is a region in the anteroinferior part of the nasal septum, where four arteries anastomose to form a vascular plexus called Kiesselbach's plexus. The arteries areAnterior ethmoidal artery (from the ophthalmic artery)Sphenopalatine artery (from the maxillary artery)Greater palatine artery (from the maxillary artery)Septal branch of the superior labial artery (from the facial artery)